A destitute woman is admitted to the hospital with altered sensorium and dehydration; urine analysis shows mild proteinuria and no sugar; what other test would be desirable:
1. Fouchet
2. Rothera
3. Hays
4. Benedicts

Correct answer: 2. Rothera

Explanation: Women in the question stem with altered sensorium and dehydration is suffering from ketoacidosis. Absence of sugar exclude the diagnosis of diabetic ketoacidosis. So ketosis could be due to starvation which can be detected by Rotheras test. During starvation acetylCoA takes alternate fate to form ketone bodies. Ref: Textbook of Biochemistry By DM Vasudevan, 3rd Edition, Pages 131, 440 ; Textbook of Medical Biochemistry By Chatterjee, 4th Edition, Pages 677- 679